The antibiotic causing Pseudomembranous colitis is:
1. Clindamycin
2. Garamycin
3. Erythromycin
4. Vancomycin

Correct answer: 1. Clindamycin

Explanation: Clindamycin